Exposure keratitis is not associated with:
1. 7th nerve paralysis
2. 5th nerve paralysis
3. Symblepharon
4. Ectropion

Correct answer: 2. 5th nerve paralysis

Explanation: Ans. 5th nerve paralysis